In sickle cell anaemia, sickle shapes occur due to polymerization of
1. Oxyhemoglobin
2. Deoxyhemoglobin
3. Methoxyglobin
4. Cyanohemoglobin

Correct answer: 2. Deoxyhemoglobin

Explanation: The substitution of hydrophilic glutamic acid by hydrophobic valine causes a localized stickiness on the surface of the molecule. The deoxygenated HbS may be depicted with a protrusion on one side and a cavity on the other side, so that many molecules can adhere and polymerize.Ref: D M Vasudevan 7th edition Page no: 291,292